Vaccine which should not be frozen -
1. OPV
2. Measles
3. HBV
4. Yellow fever

Correct answer: 3. HBV

Explanation: Ans. is 'c' i.e., HBV OPV and measles vaccines are stored in deep freezers. (Note : Yellow fever vaccine is also freez dried, but is not used in India). Vaccine which must be stored in the cold part but never allowed to freez. Typhoid DPT TT Hepatitis B DT BCG Diluents